Personality changes are associated with which of the following lobes of the brain?
1. Frontal
2. Temporal
3. Parietal
4. Occipital

Correct answer: 1. Frontal

Explanation: Ans. A. FrontalNeurological and Neuropsychologic Findings with Localizing ValueFrontal lobesPrefrontal: Contralateral grasp reflex, Personality changes, executive functioning deficits (inability to formulate goals, to plan, and to effectively carry out these plans), decreased oral fluency (dominant hemisphere), decreased design fluency (nondominant hemisphere), motor perseveration or impersistence, and inability to hold set Posterior Contralateral hemiparesis; decreased motor strength, speed, and coordination; and Broca's aphasia Temporal lobes: Partial complex seizures, contralateral homonymous inferior quadrantanopsia, Wernicke's aphasia, decreased learning and retention of verbal material (dominant hemisphere), decreased learning and retention of nonverbal material (nondominant hemisphere), amusia (nondominant hemisphere), and auditory agnosiaParietal lobes: Partial sensory seizures, agraphesthesia, astereognosis, anosognosia, Gerstmann's syndrome (acalculia, agraphia, finger agnosia, and right-left confusion), ideomotor and ideational apraxia, constructional apraxia, agraphia with alexia, dressing apraxia, prosopagnosia, and visuospatial problemsOccipital lobes: Partial sensory seizures with visual phenomena, homonymous hemianopsia, alexia, agraphia, prosopagnosia, color agnosia, and construction apraxia